Corneal dystrophies are :
1. Macular
2. Granular
3. Lattice
4. All

Correct answer: 4. All

Explanation: A. i.e. Macular; B. i.e. Granular; C. i.e. Lattice